Daily maintanence fluid for a child weighing 10 kg is:
1. 1000 ml/day
2. 800 ml/day
3. 500 ml/day
4. 1200 ml/day

Correct answer: 1. 1000 ml/day

Explanation: Ref: Nelson's Textbook of Pediatrics. 19th Edition.Explanation:The Holliday-Segar MethodIn the Holliday-Segar Method, fluid and electrolyte requirements are empirically based on the caloric needs of the average hospital patient.The same formula is used for calculating calorie requirement as well as fluid requirementRelation of Body Weight to Maintenance fluidsFor each kilogram in this rangeDaily fluid requirement per kilogramFirst 1-10 kg100 ml/kg/dayNext 11 -20 kg50 ml/kg/dayFor >20 kg20 ml/kg/dayFor 10kg child. Maintanence fluid for 24 hours = 10 x 100 = 1000 ml/dayFor 15 kg child, Maintanence fluid for 24 hours = 10 x 100 + 5x 50 = 1250 ml/dayFor 25 kg child, Maintanence fluid for 24 hours = 10 x 100 + lOx 50 + 5x 20 = 1600 mL/day